In early phase division of spermatogonia by?
1. Meiosis
2. Mitosis
3. Both Meiosis & Mitosis
4. Maturation

Correct answer: 2. Mitosis

Explanation: Ans. is 'b' i.e., Mitosis